Most common tumor of parotid
1. Warthins tumor
2. Pleomorphic adenoma
3. Adenolymphoma
4. None

Correct answer: 2. Pleomorphic adenoma

Explanation: The parotid gland is the most common site for salivary gland tumors and most tumors arise in the superficial lobe. Majority of parotid gland tumors are benign (~90%), the most common tumor being pleomorphic adenoma, next being Warthin's tumor Also Remember Most common malignant tumor of parotid - Mucoepidermoid Ca > Adenoid cystic carcinoma The most common malignancies in the pediatric population are mucoepidermoid carcinoma and acinic cell carcinoma. Ref : Bailey & Love 25/e p761